Least likely cause of renal papillary necrosis?
1. Sickle cell disease
2. Analgesic nephropathy
3. Posterior urethral valves
4. Diabetes with UTI

Correct answer: 3. Posterior urethral valves

Explanation: c. Posterior urethral valves(Ref: Nelson's 20/e p 2562-2567Ghai 8/e p 485-486)Sickle cell disease, use of analgesics and Diabetes are important causes of Renal papillary necrosis.